All of the following statements about Penicillin Resistance is true, EXCEPT:
1. b- Lactamase production is the most common mechanism of resistance
2. Alteration in target PBPs is an important resistance mechanism in Gram negative bacteria
3. Alteration in permeability / penetration of antibiotic causes resistance only in Gram negative bacteria
4. b-Lactamase production causes resistance in both Gram positive and Gram negative bacteria

Correct answer: 2. Alteration in target PBPs is an important resistance mechanism in Gram negative bacteria

Explanation: Alteration in target Penicillin Binding Proteins (PBPs) is an important resistance mechanism in gram positive bacteria and not gram negative. It is very unusual to encounter Gram Negative bacteria that have acquired Resistance to b -Lactam Antibiotics due to an alteration in target (Penicillin Binding Proteins). Ref: Antimicrobial Resistance : A Crisis in Health Care By Jungkind, Page 17; Jawetz, Melnick and Adelberg's Medical microbiology, 23rd Edition, Page 175.